Axial length of eye for cataract surgery is measured by which of the following?
1. Keratometer
2. A-Scan biometry
3. Specular microscope
4. Slit lamp biomicroscopy

Correct answer: 2. A-Scan biometry

Explanation: Ans. is 'b' i.e., A-Scan biometry Ultrasonography in OphthalmologyAModeo Transducer is coupled directly to the eye through the use of methyl cellulose.o Recording are done in a graphic mode. Height of the recorded spike on vertical axis is a measure of the amplitude of the echo, the position of the spike along the horizontal axis indicates the arrival of the echo on the tranducer.o Diagnosis is based on the basis of amplitude, position, extent and movement of the abnormal echoes alonwith the sound attenuating properties of the abnormalityo It has a special role in biometry i.e. axial length which is very essential for surgical planning.Bmodeo The transducer is coupled to the eye by either the gel applied to the closed lid or by a saline batho It is a display of two - dimensional cross sectional images.o The echoes in B scan are displayed as spots and the brightness of echoes indicates its amplitude.